Which of the followings distribution is used for segmental division of liver?
1. Hepatic veins and portal vein
2. Hepatic veins and bile ducts
3. Portal vein and bile ducts
4. Portal vein and hepatic artery

Correct answer: 1. Hepatic veins and portal vein

Explanation: Ans. is 'a' i.e., Hepatic veins and portal vein o Based on the distribution of the portal vein and hepatic vein, couinaud divided functional lobes of liver into eight segments.Right lobeLeft lobeo Anterior# Right anterior inferior - Segment V# Right anterior superior - Segement VIIIo Posterior# Right posterior inferior - Segment VI# Right posterior superior - Segment VIIo Lateral# Left lateral superior - Segment II# Left lateral inferior - Segment IIIo Medial# Segment IV (Quadrate lobe)i) Left medial superior - IV aii) Left medial inferior - IV bo Caudate lobe (segment I) is posterior segment